Which one of the following is true about follicular carcinoma of thyroid?
1. Is the most common thyroid cancer
2. Is readily diagnosed by FNAC
3. More commonly spreads through hematogenous route
4. Is commonly seen as multifocal

Correct answer: 3. More commonly spreads through hematogenous route

Explanation: follicullar carcinoma is not a common thyroid cancer,occurance is 10-15%. it spreads mainly through blood into bones,lungs ,liver FNAC is inconclusive , because capsular and angioinvasion which can't be detected by FNAC It is a well localised, nonmobile, soft, fluctuant and pulsatile secondaries in the skull ref ;(page no;482) 5th edition of SRB'S Manual of SURGERY